Which of the following is known as the dangerous zone of the eye?
1. Sclera
2. Retina
3. Optic nerve
4. Ciliary body

Correct answer: 4. Ciliary body

Explanation: Ciliary body is called the dangerous area of eye Allergic theory is being postulated as the reaosn for calling it as dangerous area of eye. During trauma to eye when ciliary body is injured it exposes uveal pigments and excites plastic uveitis in the sound eye.